Impaired "anticipatory posture" is seen in
1. Erb's palsy
2. Autism
3. ADHD
4. Oppositional defiant disorder

Correct answer: 2. Autism

Explanation: Posture that a child assumes when he wants to get picked up is termed as anticipatory posture. Autism is characterized by poor parental attachment ,eye contact and absence of anticipatory posture.